Baby 20 year old female complains of sudden onset palpitation and apprehension. She is sweating for last 10 minutes and fears of impending death. Diagnosis is
1. Hysteria
2. Generalized Anxiety Disorder
3. Cystic fibrosis
4. Pannic Attack

Correct answer: 4. Pannic Attack

Explanation: D i.e. Pannic attack